There is greater potential for thermal sensitivity to:
1. Gold castings
2. Amalgam restorations
3. Composite restorations
4. Silicate restorations

Correct answer: 1. Gold castings

Explanation: because of its higher thermal conductivity, teeth with gold Castings have a greater potential for thermal sensitivity than do those with amalgam restorations.